Which of the following is NOT an advantage of low molecular weight heparin over unfractionated heparin?
1. Higher efficacy in arterial thrombosis
2. Less frequent dosing
3. Higher and more consistent subcutaneous bioavailability
4. Laboratory monitoring of response not required

Correct answer: 1. Higher efficacy in arterial thrombosis

Explanation: Anticoagulants are mainly effective for venous thrombosis (like in DVT) Advantages of LMW Heparin over Heparin :- Advantage Consequence Better bioavailability and longer t1/2 after s.c inj. Can be given s.c once or twice daily Dose dependent clearance Simplified clearance Predictable Response No need of monitoring Lower Risk of HIT syndrome Safe for long term use Lower risk of osteoporosis Safe for long term use